Aspirin is used in the prophylaxis of myocardial infarction because it results in :
1. Inhibition of thromboxane synthetase
2. Inhibition of cyclooxygenase
3. Decreased serum lipids
4. Coronary steal phenomenon

Correct answer: 2. Inhibition of cyclooxygenase